Olfactory nerve fibres passes through?
1. Supraorbital foramen
2. Cribriform plate
3. Foramen rotundum
4. Foramen ovale

Correct answer: 2. Cribriform plate

Explanation: Receptors and the first neuron: (a) The olfactory cells (16-20 million in man) are bipolar neurons. They lie in the olfactory part of the nasal mucosa, and serve both as receptors as well as the first neurons in the olfactory pathway, (b) The olfactory nerves, about 20 in number, represent central processes of the olfactory cells. Second neuron: The mitral and tufted cells in the olfactory bulb give off fibres that form the olfactory tract and reach the primary olfactory areas. Third neuron: These are located in the primary olfactory cortex which includes the anterior perforated substance, and several small masses of grey matter around it. Fourth neuron: Fibres arising in the primary olfactory cortex go to the secondary olfactory cortex (or entorhinal area) located in the anterior part of the parahippocampal gyrus. Smell is perceived in both the primary and secondary olfactory areas. Ref: BD Chaurasia's HUMAN ANATOMY, Volume 3, 4th edition.